Ribs develop from ?
1. Endothoracic fascia
2. Para axial mesenchyme
3. Deep intercostal fascia
4. Superficial intercostal fascia

Correct answer: 2. Para axial mesenchyme

Explanation: Ribs which are attached to vertebra posteriorly is derived from paraxial mesenchyme which is derived from mesoderm. Mesoderm - Paraxial Mesoderm, Intermediate Mesoderm, Lateral plate Mesoderm Paraxial mesoderem forms somites -sclerotome, myotome and dermatome. Sclerotome forms vertebra and ribs. Myotome forms skeletal muscles. Dermatomeforms dermis(skin)